A very potent and short acting benzodiazepine was given to a patient Kallu for the purpose of causing hypnosis but the drug caused psychiatric disturbances in him. Which of the following can be the hypnotic used?
1. Flurazepam
2. Nitrazepam
3. Temazepam
4. Triazolam

Correct answer: 4. Triazolam

Explanation: (Ref: KDT 7th/405) Triazolam is a very potent BZD with ultra rapid elimination. Some cases of paranoia and psychiatric disturbances have been noted with this drug.